Which of the following has maximum density?
1. VLDL
2. LDL
3. HDL
4. Chylomicrons

Correct answer: 3. HDL

Explanation: Ref: M.N. Chatterjea - Textbook of Biochemistry, 8th edition, page no: 446